A 30-year-old man presents with hematuria. His examination is normal except for an elevated blood pressure of 164/94 mm Hg. An ultrasound of the kidneys reveals multiple renal cysts in both kidneys. His father had a similar condition. Which of the following is not associated with this syndrome?
1. liver cysts
2. intracranial aneurysms
3. autosomal dominant inheritance
4. rheumatoid arthritis (RA)

Correct answer: 4. rheumatoid arthritis (RA)

Explanation: RA is not associated with polycystic kidney disease. It has an autosomal dominant inheritance and about 50% develop renal failure by age 60 years. Cysts are also seen in the liver (more common) and pancreas. Also 5-10% of asymptomatic patients can have cerebral aneurysms. Renal transplantation is utilized in end-stage renal failure (ESRF). The transplanted kidney cannot be affected by the disease.